When capillary and interstitial hydrostatic pressures are 30 mm of Hg and 5 mm of Hg and colloid oncotic pressure of capillaries and interstitum if 25 mm of Hg and 5 mm of Hg, what is the Net filtration pressure?
1. 5 mm Hg
2. 10 mm Hg
3. 15 mm Hg
4. 20 mm Hg

Correct answer: 1. 5 mm Hg

Explanation: Forces that favour filtration - capillary hydrostatic pressure & plasma colloid oncotic pressure. Forces that opposes filtration - interstitial hydrostatic pressures & capillary oncotic pressure. Net filtration pressure -sum of hydrostatic & colloid osmotic forces that either favour or oppose filtration across capillaries. These forces are known as Starling forces NFP =PC+ pif - Pif - pP Pc - Capillary hydrostatic pressure PP - Capillary oncotic pressure Pif - Interstitial hydrostatic pressure Pif - Plasma oncotic pressure Here, net filtration pressure: = (30 + 5) - (25 + 5) = 5 mmHg